Shortest incubation period is of which infection ?
1. Chicken pox
2. Measles
3. Rubella
4. Influenza

Correct answer: 4. Influenza

Explanation: Ans. is 'd' i.e., Influenza